The HIV virus can be destroyed in vitro by which of the following -
1. Boiling
2. Ethanol
3. Cidex
4. All of the above

Correct answer: 4. All of the above

Explanation: The HIV virus can be destroyed in vitro by all of the following - REF:ANANTHANARAYAN AND PANIKER'S TEXTBOOK OF MICROBIOLOGY 9TH EDITION PAGE No